Urine dipstick shows result +3. What's the value of protein appearing in mg/dl in urine is:
1. 100 mg/dL
2. 300 mg/dL
3. 1000 mg/dL
4. 3000 mg/dL

Correct answer: 2. 300 mg/dL

Explanation: Ans. b. 300 mg/dLDipstick urinalysisAmount of protein in the urine0Normal1+30 mg/dL2+100 mg/dL3+300 mg/dL4+1000 mg/dL